Injury to the common peroneal nerve at the lateral aspect of head of fibula results in all of the following except:
1. Weakness of ankle dorsi-flexion
2. Foot drop
3. Loss of ankle reflex
4. Sensory impairment on lateral aspect of leg extending to the dorsum of foot.

Correct answer: 3. Loss of ankle reflex

Explanation: C i.e. Loss of ankle reflex